DNA supercoiling is done by
1. DNA polymerase I
2. DNA polymerase II
3. DNA polymerase III
4. DNA topoisomerase

Correct answer: 4. DNA topoisomerase

Explanation: Enzymes that catalyze topologic changes of DNA are called topoisomerases. Topoisomerases can relax or insert supercoils, using ATP as an energy source. DNA gyrase is a type of topoisomerase Harper30e pg: 362